Epidural narcotic is preferred over epidural LA because it causes –
1. Less respiratory depression
2. Less dose is required
3. No motor paralysis
4. No retention of urine

Correct answer: 3. No motor paralysis

Explanation: Epidural opioids produce only sensory block without sympathetic and motor block.